The daily requirement of protein for the adults is
1. 6 gms
2. 60 gms
3. 120 gms
4. 250 gms

Correct answer: 2. 60 gms